The genotype of blood group A would be
1. AB
2. AO
3. OO
4. BO

Correct answer: 2. AO

Explanation: The genotype for a blood group can be AA OR AO blood groups are three genes Ia,Ib,Io Ref:Guyton and Hall textbook of medical physiology 12th edition,page number:155,156,157